An example of covalent drug receptor interaction:
1. Noradrenaline binding to β1  adrenergic receptor
2. Acetylcholine binding to muscarinic receptor
3. Prazosin binding to α1   adrenergic receptor
4. Phenoxybenzamine binding to alpha adrenergic receptor

Correct answer: 4. Phenoxybenzamine binding to alpha adrenergic receptor

Explanation: Phenoxybenamine is an irreversible (covalent) antagonist at alpha receptors. All other drugs mentioned are reversibly interacting with their receptors.